Most common salivary gland to get stones:
1. Parotid
2. Submandibular
3. Minor salivary gland
4. Sublingual

Correct answer: 2. Submandibular

Explanation: Ans. (b) SubmandibularRef: Bailey 26/e p732t 25/e p755Stones in Salivary glands:* MC site - Submandibular (80%), Parotid (10%), Sublingual (7%)* MC site is Wharton's Duct > Submandibular gland* Composition of Submandibular duct stone - Ca. and Mg, PO4 and CaCO3 * Submandibular stones are radio opaque* Submandibular secretions are viscid and has nondependent drainage (reason for stone being common here)* Duct stone produces referred pain in tongue (due to Lingual nerve)* Duct stone - Lay open* Gland Stone - Excision of gland